A 40 year old male-female patient on long-term steroid therapy presents with recent onset of severe pain in the right hip. Imaging modality of choice for this problem is –
1. CT scan
2. Bone scan
3. MRI
4. Plain X-ray

Correct answer: 3. MRI

Explanation: Recent onset of severe hip pain with a history of long-term steroid therapy suggests the diagnosis of AVN hip. MRI is the investigation of choice for AVN hip.